The best marker for thyroid related disorder is:
1. T3
2. T4
3. TSH
4. Thyroglobulin

Correct answer: 3. TSH

Explanation: Answer is C (TSH): TSH is the most useful marker for Thyroid Related Disorders. With rare exceptions a normal TSH level excludes a primary abnormality of thyroid function. The enhanced sensitivity and specificity of TSH assays have greatly improved laboratory assessment of thyroid function